Boy power school preference no spoken at school, normal speech at other place, IQ assessment normal diagnosis is?
1. Selective mutism
2. ADHD
3. Autism
4. Dyslexia

Correct answer: 1. Selective mutism

Explanation: Ans. is 'a' i.e., Selective mutism Autism typically diagnosed before 36 month of age. Autism is a neurodevelopmental disorder of unknown etiology, but with a strong genetic basis. It develops and is typically diagnosed before 36 mo of age. It is characterized by a behavioral phenotype that includes qualitative impairment in the areas of language development or communication skills, social interactions and reciprocity, and imagination and play. Selective mutism is defined as a failure to speak in specific social situations, despite speaking in other situations; it is typically a symptom of an underlying anxiety disorder. Children with selective mutism can speak normally in certain settings, such as within their home or when they are alone with their parents, but do not speak in other social settings, such as at school or at other places outside their home. Attention-deficit/hyperactivity disorder (ADHD) is the most common neurobehavioral disorder of childhood, 1 of the most prevalent chronic health conditions affecting school-aged children. ADHD is characterized by: Inattention, including increased distractibility and difficulty sustaining attention. Poor impulse control and decreased self-inhibitory capacity Motor overactivity and motor restlessness. Dyslexia is characterized by an unexpected difficulty in reading in children and adults who otherwise possess the intelligence, motivation, and opportunities to learn considered necessary for accurate and fluent reading. Dyslexia is the most common and most comprehensively studied of the learning disabilities